Ileal obstruction due to round worm obstruction treatment is -
1. Resection with end to end anastomosis
2. Resection with side to side anastomosis
3. Enterotomy, removal of worms and primary closure
4. Diversion

Correct answer: 3. Enterotomy, removal of worms and primary closure

Explanation: Ans. is 'c' i.e., Enterotomy, removal of worms and primary closure o Resection of small bowel is done when the affected bowel segment is of questionable viability,o Diversion is the first step in case of colonic obstruction, followed by resection and anastomosis of affected segment and then closure of diversion colostomy at a later date.o Intestinal luminal obstmciion such as due to Bezoars or fecoliths of worm iniestations are dealt with by enterotomy and removal followed by primary closure.